Not a type of Inguinal hernia
1. Gibbon's hernia
2. Valpeall's hernia
3. Pantaloon's hernia
4. Sliding hernia

Correct answer: 2. Valpeall's hernia